Malarial parasite in anopheles is
1. Propagative
2. Cyclo-Propagative
3. Cyclo-developmental
4. None of the above

Correct answer: 2. Cyclo-Propagative